Athletic syndrome is Characterized by:
1. Increased amplitude of QRS
2. Tachycardia
3. Decreased QT interval
4. U-waves

Correct answer: 1. Increased amplitude of QRS

Explanation: Answer is A (Increased amplitude of QRS complex): Athletic Heart Syndrome Athletic Heart Syndrome is a benign condition consisting of physiologic adaptations to the increased cardiac workload of exercise in trained athletes It represents a constellation of clinical findings that are the result of normal physiologic adaptation to strenuous physical activity In response to the increased physical demand, the left ventricles dilates and wall thickness increases. The mass to volume ratio however does not change Physical examination Decreased body fat and increased muscle mass (generally very physically fit) Pulse slow and often irregular (sinus bradycardia or bradycardia with first-and second-degree blocks) Grade I or II mid-systolic murmurs (benign functional ejection murmur resolves with valsalva maneuver) Third and fourth heart sounds very common benign filling sounds) Blood pressure typically remains normal Electrocardiogram rhythm Rhythm - Sinus bradycardia of 40 to 55 beats /min while at rest - Sinus pauses of more than 2.0 seconds due to increased vagal tone - Wandering atrial pacemaker, found only in dynamic athletes - First degree atrioventricular block present only at rest; P-R interval normalizes with exercise - Second degree atrioventricular block present only at rest: Mobitz I (wenckebach block) common in marathon runners; Mobitz II rare in athlete's heart. Voltage: TORS voltage (Amplitude) - Left ventricular hypertrophy found in 85% of olympic marathon runners - Right ventricular hypertrophy common in dynamic athletes but rarely seen in sedentary controls and static athletes sedentary control and static athletes Repolarization - S-T segment elevation with peaked T waves, normalizes with exertion - S-T segment depression may be rarely found in athletes T-wave inversion in lateral leads associated with interventricular septal hypertrophy in static athletes (can be normal finding in dynamic athletes) Chest radiography - Heart is globular in appearance, particularly in endurance athletes. - Cardiomegaly (cardiothoracic ratio >0.50)